Not an indication for blood  transfusion
1. Moderate anemia at 24-30 weeks
2. Severe anemia at 36 weeks
3. Blood loss anemia
4. Refractory anemia

Correct answer: 1. Moderate anemia at 24-30 weeks

Explanation: Indications for Blood Transfusion 

To correct anemia due to blood loss and to combat postpartum hemorrhage
Patient with severe anemia seen in later months of pregnancy (beyond 36 weeks)
Refractory anemia: Anemia not responding to either oral or parenteral therapy in spite of correct treatment
Associated infection